The main apolipoprotein of LDL is
1. A-II
2. B-48
3. B-100
4. E

Correct answer: 3. B-100

Explanation: The major apolipoproteins of HDL (a-lipoprotein) are apoAs. The main apolipoprotein of LDL (b-lipoprotein) is apo B (B-100), which is found also in VLDL. Chylomicrons contain a truncated form of apo B (B-48) that is synthesized in the intestine, while B-100 is synthesized in the liver. Apo E, found in VLDL, HDL, chylomicrons, and chylomicron remnants, is also freely transferable. Reference: Harper; 30th edition; Page no: 255